All  except one are true about cocaine
1. Is ester of benzoic acid
2. Produces para aminobenzoic acid as metabolite
3. Metabolised by liver
4. Vasoconstrictor

Correct answer: 2. Produces para aminobenzoic acid as metabolite

Explanation: Cocaine being metabolisd by liver, does not produce PABA.